Which of the structure in central nervous system where the major autonomic reflex centers are found?
1. Cerebellum
2. Medulla oblongata
3. Hypothalamus
4. Thalamus

Correct answer: 2. Medulla oblongata

Explanation: The medulla oblongata, commonly called the medulla, is located at the level of the foramen magnum. It serves as the major autonomic reflex center that relays visceral motor control to the heart, blood vessels, respiratory system, and gastrointestinal tract. It possesses the nuclei for the glossopharyngeal, vagal, accessory, and hypoglossal nerves (CNN IX, X, XI, and XII, respectively). Ref: Morton D.A., Foreman K.B., Albertine K.H. (2011). Chapter 16. Brain. In D.A. Morton, K.B. Foreman, K.H. Albertine (Eds), The Big Picture: Gross Anatomy.